Best method to diagnose hydrocephalus in 6 month old FETUS is:
1. X-ray
2. Ultrasound
3. CT scan
4. MRI

Correct answer: 2. Ultrasound

Explanation: Ans. B. UltrasoundHydrocephalusObstetric ultrasound study is one of the best methods for antenatal diagnosis of hydrocephalus as it is non-invasive and hazard-free not only to fetus but also to mother.However, assessment prior to GA of 20 weeks may be difficult, as ventricles constitute a large portion of cranial vault.Signs suggestive of fetal hydrocephalus on obstetric USG study are:a. Atrial size >10mmb. Dangling "choroid plexus" signc. Banana signd. Lemon signe. BPD > 95th percentilef. +- Polyhydramnios